The periodontal Index is
1. reversible
2. irreversible
3. partially reversible
4. none of the above

Correct answer: 3. partially reversible